A 30 y.o. female patient is undergoing hemodialysis with an internal arteriovenous fistula in place. What do you do to prevent complications associated with this device?
1. Insert I.V. lines above the fistula
2. Avoid taking blood pressures in the arm with the fistula.
3. Palpate pulses above the fistula
4. Report a bruit or thrill over the fistula to the doctor.

Correct answer: 2. Avoid taking blood pressures in the arm with the fistula.

Explanation: Don’t take blood pressure readings in the arm with the fistula because the compression could damage the fistula.

Option A: IV lines shouldn’t be inserted in the arm used for hemodialysis.
Option C: Palpate pulses below the fistula.
Option D: Lack of bruit or thrill should be reported to the doctor.